The number of vessels seen in the cut section of the umbilical cord are:
1. One
2. Four
3. Three
4. Two

Correct answer: 3. Three

Explanation: Three